A child brought with suspected ingestion, presented with dry mouth, dilated pupil, difficulty in swallowing, delirium, dry & warm skin, the substance is -
1. Anti-cholinergic
2. Sympathetic
3. Cholinergic
4. Alpha-blocker

Correct answer: 1. Anti-cholinergic

Explanation: All are features of datura poisoning, i.e., anticholinergic action.